A 7-year-old boy underwent neurosurgery for craniopharyngioma following which, pituitary functions were lost. Which of the following hormone should be replaced first?
1. Hydrocortisone
2. Thyroxine
3. Growth hormone
4. Prolactin

Correct answer: 1. Hydrocortisone

Explanation: - Hydrocortisone should be supplemented first in hypopituitarism